Select the antimicrobial agent that can be used to treat both methicillin resistant and vancomycin resistant Staphylococcus aureus infections:
1. Clarithromycin
2. Clindamycin
3. Linezolid
4. Lincomycin

Correct answer: 3. Linezolid

Explanation: -Linezolide is effective against MRSA and VRSA infections. -DOC for MRSA is vancomycin. -DOC of VRSA now is daptomycin.